Complications of diabetes in pregnancy Includes all except
1. Macrosomia
2. Shoulder dystocia
3. Hyperglycemia in newborn
4. lUGR

Correct answer: 3. Hyperglycemia in newborn

Explanation: FETAL AND NEONATAL HAZARDS Fetal Macrosomia (40-50%) due to Maternal Hyperglycemia and Elevation of maternal free fatry acids. Congenital malformation(6-10%) Birth injuries are associated with prolonged labour and shoulder dystocia due to macrosomic baby. Growth Restriction is less commonly observed and is associated with maternal vasculopathy. Fetal Death has got multifactorial pathogenesis but the final event being hypoxia and lactic acedemia. Neonatal complications- a) Hypoglycemia (<35mg/dL) is due to Hyperinsulinemia b) Respiratory Distress syndrome due to excess level of fetal insulin that blocks the action of cortisol. c) Hyperbilirubinemia d) Polycythemia e) Hypocalcemia(<7mg/dL) f) Hypomagnesemia (<7mg/dL) g) Cardiomyopathy Long term effects- childhood obesity, metabolic syndrome, Neuropsychological effects and diabetes. PERINATAL MORTALITY: Overall perinatal mortality is increased 2-3times. Reference: DC.Duttas textbook of OBG, 9th edition, page 265 266